Parietal lobe tumours may be associated wit)
1. Crossed lower homonymous quadrantano
2. Crossed upper homonymous quadrantano
3. Both of the above
4. None of the above

Correct answer: 1. Crossed lower homonymous quadrantano

Explanation: Ans. Crossed lower homonymous quadrantano